True statement regarding extracellular fluid to intracellular fluid is:
1. ECF is rich in K+
2. ECF volume is twice that of the ICF
3. ECF is rich in organic anion
4. There is high sodium and low potassium in ECF

Correct answer: 4. There is high sodium and low potassium in ECF

Explanation: Option A is incorrect. ICF is rich in K+; ECF has a low concentration of K+. Option B is incorrect. ICF volume (28 L) is twice the volume of ECF (14 L). Option C is incorrect. ICF is rich in organic anions, the proteins. Other anions in ICF are inorganic phosphate. Option D is correct. There is high sodium and low potassium in ECF.